All of the following decreases mean alveolar concentration (MAC) except:
1. Hypoxia
2. Hypercapnia
3. Hypothyroidism
4. Hypovolemia

Correct answer: 3. Hypothyroidism

Explanation: MAC can be affected by several physiological and pharmacological variables: Endocrine disorders does not affect MAC. MAC | ed MAC | ed Hypoxia Hypercapnia Hypovolemia Hypothermia Hyperthermia >42 degree Hypercalcemia Hyponatraemia Hypernatraemia